ESI Act was made in:
1. 1946
2. 1948
3. 1952
4. 1954

Correct answer: 2. 1948

Explanation: Ans: bRef: Park, 17th ed, p. 585 & 18th ed, p. 617